Centre for anxiety, fear and emotions is
1. Nucleus accumbens
2. Hippocampus
3. Entorhinal cortex
4. Amygdala

Correct answer: 4. Amygdala

Explanation: Amygdala is the centre for anxiety, aggression, fear and emotions